Thermoplasty is used in which condition?
1. COPD
2. Asthma
3. Bronchiectasis
4. Carcinoma lung

Correct answer: 2. Asthma

Explanation: Thermoplasty :Radiofrequency 65degree for 10sec bronchoscopically and dec bronchospasm Used for Severe persistent asthma Inhaled corticosteroid betamethasone >1000microgm/d LABA>100 microg/g Oral corticosteroid Monteleukast Omalizumab